Which of the following statements about the contrast in radiography is true –
1. Ionic monomers have three iodine atoms per two particles in solution
2. Osmolar contrast agents may be ionic or non ionic
3. Gadolinum may cross the blood brain barrier
4. Iohexol is a high osmolar contrast media

Correct answer: 1. Ionic monomers have three iodine atoms per two particles in solution